Select the drug which is a potassium channel opener as well as nitric oxide donor
1. Diazoxide
2. Sodium nitroprusside
3. Minoxidil
4. Nicorandil

Correct answer: 4. Nicorandil

Explanation: POTASSIUM CHANNEL OPENERS Nicorandil:- It activates ATP sensitive K+ channels (KATP) thereby hyperpolarizing vascular smooth muscle. Like nitrates it also acts as a NO donor--relaxes blood vessels by increasing cGMP. Thus, arterial dilatation is coupled with venodilatation. Coronary flow is increased; dilatation of both epicardial conducting vessels and deeper resistance vessels has been demonstrated. Nicorandil is believed to exert cardioprotective action by simulating 'ischaemic preconditioning' as a result of activation of mitochondrial KATP channels. Ischaemic preconditioning in a phenomenon in which brief periods of ischaemia and reperfusion exert a cardioprotective effect on subsequent total vascular occlusion, and involves opening of mito.KATP channels. Ref:- kd tripathi; pg num:-552